Acute leukemia in children is associated with – all except –
1. Down's syndrome
2. Klinefelter's syndrome
3. Marfan's syndrome
4. Turner's syndrome

Correct answer: 3. Marfan's syndrome